Hypoparathyroidism after thyroidectomy commonly manifests in
1. 1 day
2. 2-5 days
3. After a week
4. After a month

Correct answer: 2. 2-5 days

Explanation: Parathyroid insufficiency after thyroidectomyThis is due to removal of the parathyroid glands or infarction through damage to the parathyroid end artery; often, both factors occur together. Vascular injury is probably far more important than inadvertent removal. The incidence of permanent hypoparathyroidism should be less than 1 per cent and most cases present dramatically 2-5 days after operation but, veryrarely, the onset is delayed for 2-3 weeks or if a patient with marked hypocalcaemia is asymptomatic.